Which one of the following condition is considered to be definitely precancerous in the larynx -
1. Vocal nodules
2. Angioma of vocal cords
3. Leukoplakia
4. None of the above

Correct answer: 3. Leukoplakia